Japanese B encephalitis virus is transmitted by -
1. Aedes aegypti
2. Culex fatigans
3. Culex tritaeniorhynchus
4. Habrd tick

Correct answer: 3. Culex tritaeniorhynchus

Explanation: Culcine mosquitoes notably C.tritaeniorhynchus, C.vishnui and C.gelidus along with some anophelines have been incriminated as the vectors of JE. Reference : Park's Textbook of preventive and social medicine, 24th edition.Pg no. 303